Best investigation endometriosis is :
1. Laparoscopy
2. USG
3. X-ray pelvis
4. CT Scan

Correct answer: 1. Laparoscopy

Explanation: Laparoscopy is the gold standard in the diagnosis of endometriosis. The diagnosis should be validated by peritoneal and tissue biopsy, because corpus luteal haematoma can resemble a chocolate cyst. Reference: Shaw's Textbook of Gynaecology 16th edition page no 415